Palatine tonsil develops from which pharyngeal pouch -
1. First
2. Second
3. Third
4. Fourth

Correct answer: 2. Second

Explanation: Ans 'b' i.e., Second o At first there are 6 pharyngeal arches. The fifth arch disappears and only 5 remain,o Each arch has:An ectodermal cleftA mesodermal elementAn endodermal pouchArchEctodermal cleftEndodermal pouchIEpithelium of external auditory meatus Ear drumPinnaVentral - tongueDorsal - tubotympanic recess -- proximal part forms the auditory tube and the distal part forms the middle ear cavity1 and tympanic antrumIIIIIIV2nd arch grows over and covers the 2nd, 3rd and 4th cleftsPalatine tonsilThymusInferior parathyroidsThyroid glandSuperior parathyridsMesodermal derivatives of the pharyngeal archesArchSkeletal elementMuscle archNerv e of archIMaxilla, zygomatic bone, pan of temporal and vomer, sphenoid, mandibleMeckel's cartilageMalleus, incusMvlohyoid.Mastication muscles,Anterior belly of digastricsTensor veli palatineTensor tympaniMandibular division of tri germinalIIReichert's cartilage,stapesStyloid processStylohyoid ligamentSmaller cornu of hyoidSuperior part of body of hyoid (All'S')StapediusStylohyoidPosterior belly of digastricFacial expression musclesFacialIII.Greater cornu of hyoidLower part of body of hyoidStylopharyngeusGlossopharyngealIVCartilage of larynx except arytenoidsPharyngeal musclesCricothyroidSuperior laryngeal branch of vagusVArytenoid cartilages of larynxIntrinsic muscles of larynxRecurrent leryngeal nerve.